Which of the following tracts is concerned with pain and temperature?
1. Pyramidal tract
2. Anterior spinothalamic tract
3. Lateral spinothalamic tract
4. Dorsal spinocerebellar tract

Correct answer: 3. Lateral spinothalamic tract

Explanation: Sensation carried
Posterior column (Dorsal column)

Proprioception (Position of body or limb, the position of joint)
Fine touch (two point discrimination, topognosis, stereognosis)
Vibration
Kinesthesia

Anterolateral system

Anterior spinothalamic tract → Crude touch
Lateral spinothalamic tract  → Pain, Temperature